The following inhibit growth hormone secretion:
1. Hyperglycemia
2. More free fatty acids
3. Stomatostatin
4. All

Correct answer: 4. All

Explanation: Factors inhibiting growth hormone secretion: Hyperglycemia Obesity Increased free fatty acid Insulin like growth factor-1 Beta adregrnic agonists REM sleep